All of the following may be used in pregnancy- associated hypertension, EXCEPT:
1. Nifedipine
2. Captopril
3. Methyldopa
4. Hydralazine

Correct answer: 2. Captopril

Explanation: Ans. is 'b' i.e., Captopril * Antihypertensives in pregnancy:1) Alpha methyldopa2) Nifedipine3) Hydralazine4) Labetalol* Angiotensin-converting enzyme (ACE) inhibitors are contraindicated as they are a/w: Oligohydramnios, renal anomalies, neonatal renal failure, pulmonary hypoplasia, hypocalvaria, growth restriction, and death.